Compared to a cast circumferential clasp, the main disadvantage of a combination clasp is that, it?
1. Can flex in all spatial planes
2. is more prone to breakage and damage
3. makes greater surface contact with the tooth
4. is less acceptable esthetically

Correct answer: 2. is more prone to breakage and damage